Amount of iron required for fetus in pregnancy tenure is
1. 1 gm
2. 0.1 gm
3. 0.3 gm
4. 3 gm

Correct answer: 3. 0.3 gm

Explanation: Ans. c (0.3 gm). (Ref. Textbook of Obstetrics, D.C. Dutta, 6th /- Tab no. 19)The total iron requirement of pregnancy is 1,000 mg:# 500 mg increases the maternal red blood cell mass,# 300 mg is transported to the fetus and placenta, and# 200 mg compensates for blood loss at delivery.- The iron requirements of pregnancy increase steadily towards term but average 3.5 mg per day.Recommended supplementation for nonanemic gravidas is 300 mg of ferrous sulfate per day, which contains 60 mg of elemental iron.- Anemic gravidas (Hb of 8 or 9 g/dL) should take 300 mg ferrous sulfate 2 or 3 times a day.- Vitamin C facilitates iron absorption.- Therapeutic results can be expected after 3 weeks of therapy.- The severely anemic patient (Hb less than 8 g/dL) may require parenteral therapy in the form of intramuscular or intravenous iron dextran.- The total dose of iron required can be calculated using this formula:# Total dose of iron dextran (mL) = (0.0476 x body weight in kg x ) + 1 mL/5 kg of body weight up to a maximum of 14 mL.- Adequate parenteral therapy should result in a marked increase in the reticulocyte count within 7 to 14 days.